Eclampsia seizures drug of choice
1. Diazepam
2. Phenytoin
3. Magnesium
4. Barbiturate

Correct answer: 3. Magnesium

Explanation: Eclampsia in pregnancy can be treated by magnesium sulphate. It is given by i.m route with the monitoring of reflexes mainly the patellar refex Ref: Katzung 12th ed.